All of the following are features of sarcoidosis except:
1. Right paratracheal lymphadenopathy
2. Cardiomyopathy
3. Hypercalcemia
4. Malabsorption syndrome

Correct answer: 4. Malabsorption syndrome

Explanation: Right paratracheal lymphadenopathy - garland sign in sarcoidosis. Non-caseating granulomas are seen in the heart - most important cause of noninfectious dilated cardiomyopathy. Granulomas produce vitamin D3 leading to hypercalcemia.